Graft for myringoplasty-
1. Temporalis fascia
2. IIiacus fascia
3. Colles fascia
4. Iliotibial band

Correct answer: 1. Temporalis fascia

Explanation: Ans. is 'a' i.e., Temporalis fascia o Graft material used for myringoplasty are :i) Temporalis fascia (most common)iii) Tragal cartilageii) Perichondrium from the tragusiv) Veino Sometimes, homografts such as dura, vein, fascia and cadaver tympanic membrane are also used.[?][?] Dhingra 36